About skull of newborn, true are all except-
1. Paranasal sinuses are absent
2. Absent diploic spaces
3. Middle ear ossicles are of same size as in adults
4. Mastoid process is not completely formed

Correct answer: 1. Paranasal sinuses are absent